Most common ovarian tumor in less than 20 year age group is -
1. Epithelial tumor
2. Germ cell tumor
3. Metastatic tumor
4. Sexcord stromal tumor

Correct answer: 2. Germ cell tumor

Explanation: Ans. is 'b' i.e. Germ cell tumour